Contra indication for DRE
1. Acute anal fissure
2. Pilonidal sinus
3. Polyps
4. All of the above

Correct answer: 1. Acute anal fissure

Explanation: Acute anal fissure is very painful, so DRE Is contraindicated.